In which orthodontic movement utmost control is required
1. Intrusion
2. Extrusion
3. Tipping
4. Rotation

Correct answer: 1. Intrusion